Schizopherenia is characterized by :
1. Formal through disorder
2. Hallucination
3. Delusion
4. All

Correct answer: 4. All

Explanation: D i.e All- Schizophrenia is a formal thought disorderQ, characterized by third person hallucinationQ & inappropriate emotion (affect).- Delusion (primary autocanthous)Q is a Schneider's first rank symptom of schizophrenia.- Altered consciousness (sensorium) is a characteristic feature seen in deliriumQ (not in schizophrenia).- Intermittent mood change is characteristic feature of bipolar disorder and elation is found in mania (not in schizophrenia)Q.